A ranula is a
1. Type of epulis
2. Sublingual thyroid
3. Thyroglossal cyst
4. Cystic swelling in the floor of the mouth

Correct answer: 4. Cystic swelling in the floor of the mouth